Lens derives nutrition from -
1. Vitreous
2. Aqueous
3. Optic artery'
4. Ophthalmic artery

Correct answer: 2. Aqueous

Explanation: Ans. is 'b' i.e.. Aqueous o Aqueous humor, a clear liquid that nourishes the cornea and lens, is produced in the ciliary body by diffusion and active transport from plasma. It flow's through the pupil and fills the anterior chamber of the eye. It is normally reabsorbed through a network of trabeculae into the canal of Schlemm.